Commonest form of anthrax is ?
1. Wool sorters disease
2. Alimentary type
3. Cutaneous type
4. None of the above

Correct answer: 3. Cutaneous type

Explanation: Ans. is 'c' i.e., Cutaneous type